Gene expert used for getting diagnosis of TB in ?
1. 1-2 hrs
2. 5 hrs.
3. 10 hrs.
4. 20 hrs.

Correct answer: 1. 1-2 hrs

Explanation: Ans. is 'a' i.e., 1-2 hrs. Results are obtained from unprocessed sputum samples in 90 minutes, with minimal biohazard and very little technical traning required to operate.